All of the following are true regarding the actions of endothelin-1 except ?
1. Bronchodilation
2. Vasoconstriction
3. Decreased GFR
4. Has inotrophic effect

Correct answer: 1. Bronchodilation

Explanation: Endothelin-1 Potent vasoconstrictor agent Produced by endothelial cells. They are secreted locally and act in a paracrine fashion. Actions of Endothelin-1 (ET-1) Potent vasoconstrictor Platelet activation Inotrophic effect Closure of ductus arteriosus Have a role in the pathogenesis of hypertension, myocardial infarction, and congestive heart failure. In the brain, regulate the transport of substances across blood brain barrier (BBB).. In the kidneys, they are involved in tubuloglomerular feedback- decreased GFR In the lungs, it causes bronchoconstriction (mediated ET-B receptors) In GIT, they are involved in the migration of myenteric plexus to distal colon (failure leads to Hirschsprung's/ Megacolon) Deletion of both alleles of ET-1 gene- craniofacial abnomalities and respiratory failure at birth. Ref: Ganong's Review of Medical Physiology 26th edition PGno: 584